Which of the following is complication of mastectomy?
1. Seroma
2. Long thoracic nerve palsy
3. Angiosarcoma
4. All of above

Correct answer: 4. All of above

Explanation: Complications of mastectomy Seroma - seen in 30% of patients (MC complication) Wound infection / flap necrosis Injury of long thoracic nerve Injury of thoracodorsal nerve Persistent axillary fat pad Lymphedema Patients with lymphedema, approximately after 10.5 years it may progress to Angiosarcoma. These patients of breast cancer with MRM and done and diagnosed to have angiosarcoma is known as Stewart Treves Syndrome